Drug causing decrease in late sodium current ?
1. Nicorandil
2. Ranolazine
3. Trimetazidine
4. Molsidomine

Correct answer: 2. Ranolazine

Explanation: Ans. is 'b' i.e., Ranolazine Ranolazine Ranolazine is an effective newer anti-anginal drug but unlike CCBs and beta-blockers it does not significantly alter the heart rate or blood pressure. Ranolazine alters the trans-cellular late sodium current and affects the sodium-dependent calcium channels during myocardial ischemia thus prevents calcium overload, resulting in reduced oxygen demand, and prevent angina. Ranolazine is useful as add-on therapy in chronic stable angina which is refractory to more standard anti-anginal medication. However, it is not found to be useful in acute coronary syndrome.